Interfacial surface tension does not act as a retentive factor in lower complete denture due to lack of
1. Liquid-Liquid interface
2. Liquid-air interface
3. Air-air interface
4. Liquid-gel interface

Correct answer: 2. Liquid-air interface